Community development is block comprises of:
1. 70 villages and 70000 population
2. 100 villages and 100000 population
3. 500 villages and 500000 population
4. 1000 villages and 1000000 population

Correct answer: 2. 100 villages and 100000 population

Explanation: Ans (b) 100 villages and 1,00,000 populationRef Park's PSM 20/783, 784"Under the community development programme, the rural areas of the country have been organized into Community Development Blocks --each Block comprising approximately 100 villages and a population of one lakh."